Cutting cone is
1. Leading edge of osteoblasts
2. Leading edge of osteoclasts
3. Trailing edge of osteoblast
4. Trailing edge of osteoclasts

Correct answer: 2. Leading edge of osteoclasts